Most common extra-cutaneous manifestation of chicken pox is -
1. CNS involvement
2. Varicella pneumonia
3. Congenital varicella
4. Reye syndrome

Correct answer: 1. CNS involvement

Explanation: Answer- A. CNS involvementThe most common extracutaneous site of involvement in chicken pox in children is the CNSThe cerebrospinal fluid (CSF) contains lymphoctyes and elevated levels of protein.